Most commonly amyloidoisis is secondary to -
1. Chronic suppuration
2. Acute inflammation
3. Cellular necrosis
4. Hyaline degeneration

Correct answer: 1. Chronic suppuration

Explanation: Amyloidosis has not been included in the wide spectrum of medical complications associated with drug abuse. Chronic visceral infection is a recognized cause of amyloidosis, but chronic suppuration of the skin is not a well-appreciated cause of this condition. Furthermore, to our knowledge, chronic skin suppuration secondary to parenteral drug abuse has not been reported as a cause for systemic amyloidosis. https:/www.ncbi.nlm.nih.gov.in